Inorganic phase of the composite aids in
1. Increasing mechanical strength
2. Decreasing the coefficient of thermal expansion
3. reducing the polymerization shrinkage
4. all of the above

Correct answer: 4. all of the above